Pain relief in chronic pancreatitis can be obtained by destruction of:
1. Celiac ganglia
2. Vagus nerve
3. Anterolateral column of spinal cord
4. None of the above

Correct answer: 1. Celiac ganglia

Explanation: Celiac plexus blockade in chronic pancreatitis is used for Pain Relief .